Inferior thyroid artery is related to?
1. Superior laryngeal nerve
2. Recurrent laryngeal nerve
3. Glossopharyngeal nerve
4. XII nerve

Correct answer: 2. Recurrent laryngeal nerve

Explanation: The Recurrent laryngeal nerve lies very close to the inferior thyroid artery near the base of the thyroid lobe.